The drug of choice for an acute exacerbation of ulcerative colitis is –
1. Sulfasalazine
2. Methotrexate
3. Infliximab
4. Corticosteroids

Correct answer: 4. Corticosteroids

Explanation: Corticosteroids
DOC for acute exacerbation of IBD – Steroids
DOC for maintenance treatment of IBD – Sulfasalazine